Microcornea is defined as:
1. < 10 mm corneal diameter at birth
2. <13 mm corneal diameter at birth
3. < 10 mm axial length at birth
4. < 20 mm axial length at birth

Correct answer: 1. < 10 mm corneal diameter at birth

Explanation: Microcornea < 10 mm corneal diameter at birth. Megalocornea > 13 mm after 2 yr of age or >11.7 mm before 2 yr of age.